20 year old male from Jaipur with erythermatous lesion on cheek with central crusting likely diagnosis is:
1. SLE
2. Lupus Vulgaris
3. Chillblain
4. Cutaneous Leishmaniasis

Correct answer: 4. Cutaneous Leishmaniasis

Explanation: D i.e. Cutaneous Leishmaniasis Cutaneous Leishmaniasis Chillblains Lupus Vulgaris SLE - Found in North Africa, South America, - Occur in damp - Slowly progressive - More common in North West RajasthanQ cold single, erythematous femalesQ - After incubation pd. of 2 months, a - Mostly affects irregularly indurated - M.C. involve area boil appears on exposed site (Baghdad finger & toesQ plaque which may exposed to sunlight i.e. BoilQ); which breaks down to produce - Dusky red or ulcerate in some areas involvement of bridge of ulcer (oriental soreQ), which heals mauve swelling - Healing with scar nose & cheecks is a spontaneously in few months may be painful formation in some areas & characteristic featureQ - Characterstic lesion has central & itchy progression in other areas - Associated with depression, crusting & surrounded by - Slowly increases in size involvement of other raised indurated borderQ over one, two or three decadesQ organ systemQ